A 20 year old patient presents with difficulty in breathing and impaired hearing on examination enlargement of upper deep cervical lymph nodes, most likely diagnosis is
1. Angiofibroma
2. Hodgkin's Lymphoma
3. Nasapharyngeal carcinoma
4. Carcinoma tongue

Correct answer: 3. Nasapharyngeal carcinoma